At the superficial inguinal canal increased abdominal pressure leads to closure by approximation of crura in the opening. This defect is seen in an aponeurosis formed by which of the following muscles?
1. Fascia tranversalis
2. External oblique
3. Internal oblique
4. Erector spinae

Correct answer: 2. External oblique

Explanation: Ans. is'b'i.e., External oblique(Ref: BDC &/e Vol. II p. 212, 213; Ramesh Babu p. 219)Examinar is asking about superficial inguinal ring which is triangular defect in external oblique aponeurosis.Superficial inguinal ring is an anatomical structure in the anterior abdominal wall. It is a triangular shaped defect in the aponeurosis of external oblique muscle